Cori's cycle is concerned with transport of
1. Alanine
2. Glutamate
3. Lactate
4. Aspartate

Correct answer: 3. Lactate

Explanation: Cori's cycle (Glucose-Lactate cycle) is concerned with transport of Lactate.